Which one of the following is the best drug of choice for treatment of bacterial vaginosis during pregnancy?
1. Clindamycin
2. Metronidazole
3. Erythromycin
4. Rovamycine

Correct answer: 2. Metronidazole

Explanation: Treatment of bacterial vaginosis: Sensitive to metronidazole/clindamycin Metronidazole use in the first trimester - no human evidence of teratogenesis Topical therapy using vaginal gel is effective but may not reduce the risk of pre-term delivery. ref Katzung 12th ed